A 24 year old man on physical examination was noted to have ptosis. Which of the following muscle must be paralyzed?
1. Orbicularis Oculi, lacrimal part
2. Orbicularis Oculi, palpebral part
3. Superior tarsal
4. Superior oblique

Correct answer: 3. Superior tarsal

Explanation: The superior tarsal muscle is a smooth muscle which is sympathetically innervated. It is an involuntary muscle that elevates the eyelid. It is innervated by the cervical sympathetic trunk, and this muscle's functioning provides a good indication of the integrity of the cervical sympathetic trunk. If the cervical sympathetic trunk has been damaged, a patient will have ptosis, a droopy eyelid.